Which among the following is TRUE regarding Golgi tendon organ?
1. Senses dynamic length of muscle
2. Involved in reciprocal innervation
3. Alpha motor neuron stimulation
4. Senses muscle tension

Correct answer: 4. Senses muscle tension

Explanation: he harder a muscle is stretched, the stronger is the reflex contraction. However, when the tension becomes great enough, contraction suddenly ceases and the muscle relaxes. This relaxation in response to strong stretch is called the inverse stretch reflex. The receptor for the inverse stretch reflex is in the Golgi tendon organ. This organ is the receptor for the inverse stretch reflex and consists of a netlike collection of knobby nerve endings among the fascicles of a tendon. The innervation is the Ib group of myelinated, rapidly conducting sensory nerve fibers. Ref: Barrett K.E., Barman S.M., Boitano S., Brooks H.L. (2012). Chapter 12. Reflex and Voluntary Control of Posture & Movement. In K.E. Barrett, S.M. Barman, S. Boitano, H.L. Brooks (Eds), Ganong's Review of Medical Physiology, 24e.